Illuminated Frenzel glasses are used in detecting
1. Nystagmus
2. Heterophoria
3. Esotropia
4. Astigmatism

Correct answer: 1. Nystagmus

Explanation: (Refer: AK Khurana Comprehensive Ophthalmology, 6th edition, pg no. 358 - 362)Illuminated Frenzel glasses (+20 lenses) are useful for abolishing fixation and thus revealing peripheral vestibular nystagmus